Spontaneous regression of malignant tumour is seen in -
1. Burkits lymphoma
2. Neuroblastoma
3. Wilm's tumour
4. All

Correct answer: 2. Neuroblastoma

Explanation: Ans. is 'b' i.e., Neuroblastoma Also in Retinoblastoma, malignant melanoma, choriocarcinoma